Topical antifungal used in corneal fungal infection
1. Silver sulfadiazine
2. Neomycin
3. Natamycin
4. Griseofulvin

Correct answer: 3. Natamycin

Explanation: C i.e. Natamycin Fungal corneal ulcer is treated by antifungal agents - topical & systemic (required in severe keratitis & endopthalmitis) and cycloplegics (e.g. atropine ointment or scopolamine)Q as an adjuvant therapy. Steroids are contraindicated Q